Most common tumor of anterior mediastimum is
1. Thymoma
2. Lymphoma
3. Germ cell cumor
4. Thyroid tumors

Correct answer: 1. Thymoma

Explanation: Thymomas are the most common tumours of anterosuperior mediastinum in the adult,accounting for 25% of the total.They are most common in the 5th and 6th decades of life.Both sexes are equally affected.They vary in behaviour from benign to aggressively invasive.Diagnosis and treatment are best achieved by complete thymectomy.